Extrusion of sealer from root apex will cause
1. Irritate tissue and delay healing
2. Stain periapical tissue
3. Resorb the root
4. Lead to closure of apex

Correct answer: 1. Irritate tissue and delay healing